Corneal endothelium is embryologically derived from:
1. Neural crest
2. Ectoderm
3. Mesoderm
4. Endoderm

Correct answer: 1. Neural crest

Explanation: A. i.e. Neuroectoderm